Pre-auricular sulcus is seen in?
1. Mandible
2. Maxilla
3. Skull
4. Pelvis

Correct answer: 4. Pelvis

Explanation: Ans. (d) PelvisRef: Parikh 6/e, p 2.28, Gray's anatomy 39th ed. /1426